Which branch of fascial nerve supplies muscles of lower lip
1. Temporal
2. Cervical
3. Buccal
4. Mandibular

Correct answer: 4. Mandibular

Explanation: -TEMPORAL BRANCH-Supply upper part of orbicularis oculi and frontalis -ZYGOMATIC BRANCH-Supply lower part of orbicularis oculi -BUCCAL BRANCH-Supply upper orbicularis oris, zygomaticus minor/major -MARGINAL MANDIBULAR BRANCH-Supply lower lip-Mentalis, lower orbicularis oris, depressor labii inferioris -CERVICAL BRANCH -Supply Platysma